Implantation occurs at ?
1. 2-3 days
2. 6-7 days
3. 15-20 days
4. 20-25 days

Correct answer: 2. 6-7 days

Explanation: Ans. is 'b' i.e., 6-7 days